Which of the following acts as an antagonist to NMDA receptor?
1. Ketamine
2. Spermine
3. Muscimol
4. Baclofen

Correct answer: 1. Ketamine

Explanation: Ketamine is a general anesthetic agent which acts by blocking excitatory NMDA type of glutamate receptors.